Bleeding per rectum is present in all, except ?
1. Meckel's diverticulum
2. Sigmoid volvulus
3. Carcinoma rectum
4. Ulcerative colitis

Correct answer: 2. Sigmoid volvulus

Explanation: Ans. is `b' i.e., Sigmoid Volvulus Volvulus does not cause bleeding Causes of lower G.I. bleeding A) Common B) Less common C) Rare Angiodysplasia Neoplasia ---> Carcinoma, polyps Meckel's diverticulum Diverticulitis Colitis --> Radiation, Ischaemic, Ulcerative Intussusception Anorectal disease Infective --> Enteric fever, Amoebic ulcer, T.B. (Hemorrhoids, Anal fissure) HIV related (Gonorrhoea, C.M.V.)